'Pityriasis Versicolor' is caused by
1. Malassezia furfur
2. Trichophyton rubrum
3. Aspergillus fumigatus
4. Nocardia versicolor

Correct answer: 1. Malassezia furfur

Explanation: Pityriasis versicolor are tinea versicolor is a superficial fungal infection caused by dimorphic fungi belonging to genus Malassezia. M.globosa and M.furfur are two main species causing it. Most common site affected is upper trunk, but can also affect face and flexural areas. Clinical manifustations are in te form of hypo or hypo pigmented macules with fine, branni scales. Scrapping the surface accentuate the scarring known as scratch sign or coup d'ongle sign or besniers sign Woodslamp-golden yellow fluorescense KOH-Both yeast and hyphal forms giving Spaghetti and meat ball appearance. Ref Harrison 20th edition pg 1233